A male 60 years old wants a  denture made. He is on oral hypo-glycaemics. Intraoral examination reveals edentulous arches with firm ridges and good alveolar height. Which of the following can be used in this patient  for impression making?
1. ZOE paste
2. Impression plaster
3. Impression compound
4. All of the above

Correct answer: 4. All of the above

Explanation: Inelastic impression materials, such as ZOE paste and plaster, are ideal for making impressions of edentulous jaw structures or soft tissue because, in the proper consistency, they do not compress the tissue during seating of the impression tray. Impression compound is often used to make trays for the construction of full dentures.
Reference: Phillips’ science of dental materials / Kenneth J. Anusavice, Chiayi Shen, H. Ralph Rawls.—12th ed.Page no 153